True about colour blindness:
1. Autosomal dominant inheritance
2. Tritanopia is the commonest disorder
3. Trichromats are unable to appreciate blue colour
4. Defect in 1 or more prime colours

Correct answer: 4. Defect in 1 or more prime colours

Explanation: Ans. D: Defect in 1 or more prime colours Colour blindness is inherited as recessive and X-linked characteristics. The prefixes "Prot-" "Deuter-"and "Trit-" stands for defects of Red, Green and Blue cone systems. So tritanopia (Rarest) has Defect of blue colour. Trichromats are normal individuals.